All of the following structures passes through the deltopectoral triangle, EXCEPT:
1. Cephalic vein
2. Axillary nerve
3. Deltopectoral lymph nodes
4. Branch of thoracoacromial artery

Correct answer: 2. Axillary nerve

Explanation: Contents of the deltopectoral triangle are cephalic vein, deltoid branch of thoracoacromial artery and deltopectoral nerves. Boundaries of the triangle are formed by:Upper margin of pectoralis major mediallyAnterior margin of deltoid laterallyClavicle superiorlyRef: Clinical Anatomy: (a Problem Solving Approach) By Kulkarni PAGE 85.